Eosin-5- Maleimide flow cytometry is used for diagnosis of:-
1. G6PD
2. Hereditary spherocytosis
3. Sickle cell anemia
4. Alpha thalassemia

Correct answer: 2. Hereditary spherocytosis

Explanation: - Flow cytometric analysis with EMA - labeled RBC is performed for the diagnoses of HS. - EMA is a fluorescent dye that binds to skeletal proteins of RBC. - Deficiencies of band 3, ankyrin , band 4.2 which cause HS, result in decrease of fluorescence intensity of EMA binding. - Thus, flow cytometry with EMA labeled RBCs is practical & useful test for diagnosis of HS in newborn. - Rx:- Elective Splenectomy. - Remaining options like G6PD, Sickle cell anemia, Thalassemia ; IOC is HPLC:- High performance liquid chromatography.